Gangrene of intestine is seen in all the following conditions, except
1. Tricuspid Valve Endocarditis
2. Shock
3. Mesenteric Artery Thrombosis
4. Volvulus

Correct answer: 1. Tricuspid Valve Endocarditis

Explanation: Shock, mesenteric artery thrombosis and volvulus can lead to gangrene of intestine.